In AIDS , lymphadenopathy is most often due to -
1. Lymphoma
2. Non specific enlargement of lymph nodes
3. TB
4. Kasposi's sarcoma

Correct answer: 2. Non specific enlargement of lymph nodes

Explanation: Persistent Generalized Lymphadenopathy HIV patients develop PGL as an early clinical manifestation of HIV infection PGL is defined as presence of >1LN in two or three extra-inguinal sites for >3 months without an obvious cause Enlargement is due to follicular hyperplasia Ref: Harrison's 19th edition Pgno :1232-1233